Radiological factors indicating an unstable pelvis are all except ?
1. Posterior sacroiliac complex displacement by > 1 cm
2. Avulsion fracture of sacral or ischial end of the sacrospinous ligament
3. Avulsion fractures of the L5 transverse process
4. Isolated disruption of pubic symphysis with pubic diastasis of 2 cm.

Correct answer: 4. Isolated disruption of pubic symphysis with pubic diastasis of 2 cm.

Explanation: Ans. is 'd' i.e., Isolated disruption of pubic symphysis with pubic diastasis of 2 cm Radiographic factors indicating unstable pelvis are :- Posterior sacroiliac complex displacement by > lcm Avulsion fracture of sacral or ischial end of the sacrospinous ligament Avulsion fractures of the L5 transverse process Disruption of pubic symphysis with pubic diastasis of 2 cm with posterior pelvic injury or injury to anterior/ posterior sacroiliac ligament or sacrospinous ligaments. Presence of gap rather than impaction in the posterior pelvic ring.